Ramesh ,a 45 years old male hypertensive patient became unconscious while bathing. On examination there was complete flaccid hemiplegia and patient had difficulty in speaking, word ordering and articulation, though could understand commands. Patient was diagnosed with left MCA territory infarct. What is type of aphasia patient has
1. Wernicke’s aphasia
2. Broca’s aphasia
3. Global aphasia
4. Anomic aphasia

Correct answer: 2. Broca’s aphasia

Explanation: Since language comprehension is intact and only fluency is impaired it is broca’s aphasia